In which of the following infections mosquito is the main vector?
1. Hepatitis - A
2. Cholera
3. Yellow fever
4. Leprosy

Correct answer: 3. Yellow fever

Explanation: The yellow fever virus is transmitted by the bite of female mosquitoes (the yellow fever mosquito, Aedes aegypti. After transmission of the virus from a mosquito the viruses replicate in the lymph nodes and infect dendritic cells in particular. Hepatitis-A and Cholera are transmitted through feco-oral route. Leprosy is transmitted by fomites.